Which of the following is not a prefabricated pontic:
1. Long pin facing.
2. Pontip.
3. Perel pontic.
4. Sanitary facing.

Correct answer: 3. Perel pontic.

Explanation: Example of prefabricated pontics are:
Trupontic, Long pin facing,
Flatback, Sanitary facings, Reverse pin facing, Pontips.